A 7-month-old boy has had multiple bouts of otitis media, sinusitis, bronchitis, oral candidiasis, and multiple viral infections. Cessation of the recurrent infections follows successful engraftment of a bone marrow transplant. The basis of the clinical improvement is
1. direct transfusion of antibodyproducing B cells.
2. direct transfusion of donor CD4+ and CD8+ lymphocytes.
3. donor suppression of recipient cytotoxic T cells
4. maturation of donor lymphoid progenitor cells

Correct answer: 4. maturation of donor lymphoid progenitor cells

Explanation: Severe combined immunodeficiency disease(SCID) Characterized by failure to thrive and increased susceptibility to bacterial, fungal, and viral infections. Laboratory studies reveal decreased numbers of both B cells and T cells and deficiency of immunoglobulins. The treatment of choice is bone marrow (or other sources of hematopoietic stem cells) transplantation and is based on maturation of donor lymphoid progenitor cells